The incidence of bilaterally in a dermoid cyst is approximately
1. 10 percnt
2. 30 percnt
3. 50 percnt
4. 70 percnt

Correct answer: 1. 10 percnt

Explanation: Refer Robbins page no 1029 Germ cell tumor constitutes 15-20 percnt of all ovarian tumors Most are benign cystic teratoma, also known dermoid cyst